A baby's blood group was determined as 0 Rh negative. Select the blood group, the baby's mother or father will not have:
1. A positive
2. B positive
3. AB negative
4. A negative

Correct answer: 3. AB negative

Explanation: Ans. AB negative